Granisetron, has antiemetic properties because of:
1. Dopaminergic receptor — blocking actions
2. Gabamimetic actions
3. Gaba-inhibitory actions
4. Serotonin receptor-blocking action

Correct answer: 4. Serotonin receptor-blocking action

Explanation: Granisetron is 5-HT3 antagonist and is 10 times more potent than ondansetron, and probably more effective during the repeat cycle of chemotherapy. The weak 5-HT4 blockade seen with ondansetron  has not been detected in granisetron. lts plasma t½ is longer (8-12 hrs) and it needs to be given only twice on the day of chemotherapy.